Multiple Cutaneous Sebaceous adenomas are seen in
1. Grdner's syndrome
2. Turcot's syndrome
3. Muir Torre syndrome
4. Cowden syndrome

Correct answer: 3. Muir Torre syndrome

Explanation: .* Multiple sebaceous adenomas with visceral malignancy are called as Torre-Muir syndrome. * Secondaries in skin can occur like sister -Joseph nodules around the umbilicus. ref:SRB'S manual of surgery,ed 3,pg no 244